Most common organism causing ventilator associated pneumonia -
1. Legionella
2. Pneumococcus
3. Pseudomonas
4. Coagulase negative staphylococcus

Correct answer: 3. Pseudomonas